Von-Willebrand's disease is transmitted as:
1. Autosomal dominant
2. Autosomal recessive
3. X-linked dominant
4. V-linked

Correct answer: 1. Autosomal dominant